Carry over effect is seen in:
1. Case control study
2. Concurrent parallel study
3. Cross over study
4. Panel Study

Correct answer: 3. Cross over study